The expression of the following oncogene is associated with a high incidence of Medullary carcinoma of thyroid-
1. P 53
2. Her 2 neu
3. RET protooncogene
4. Rb gene

Correct answer: 3. RET protooncogene

Explanation: Harshmohan textbook of pathology 7th edition. RET gene is a proto oncogene normally code for receptor for growth factor ( RET receptor). Point mutation to this gene causes multiple endocrine neoplasi type 2A, type2B , medullary carcinoma of thyroid..